In Botulinism all are seen except -
1. Diplopia
2. Diarrhoea
3. Dysphagia
4. Abd. pain

Correct answer: 2. Diarrhoea